"Microsomia" is defined as –
1. Birth weight below 90th percentile
2. Birth weight below 10th percentile
3. Birth weight below 20th percentile
4. Birth weight below 50th percentile

Correct answer: 2. Birth weight below 10th percentile

Explanation: Microsomia means small for date baby, i.e. newborn baby with a birth weight less than 10th percentile.